Flutamide is used in CA ?
1. Cervix
2. Prostate
3. Kidneys
4. Liver

Correct answer: 2. Prostate

Explanation: Ans. is 'b' i.e., Prostate Flutamide It is a nonsteroidal drug. Has antiandrogenic but no other hormonal activity. Its active metabolite 2-hydroxyflutamide competitively blocks androgen action on accessory sex organs as well as on pituitary - inceases LH secretion by blocking feed back inhibition - testosterone secretion increases which partially overcome the direct antiandrogenic action. It is used in metastatic prostatic carcinoma. It is better used in conjuction with GnRH agonist to suppress LH and testosterone secretion. Reports of liver damage have restricted its use.